Primary metabolic bone disorder in scurvy is:
1. Decreased mineralization
2. Decreased osteoid matrix formation
3. Increased bone resorption
4. Decreased bone mass with normal mineralization and osteoid formation

Correct answer: 2. Decreased osteoid matrix formation

Explanation: Scurvy- Decreased osteoid matrix formation Osteomalacia- Decreased mineralization Osteoporosis- Decreased bone mass with normal mineralization and osteoid formation Paget's disease- Increased bone resorption